Salmonellosis is most common in
1. Sickle cell anemia
2. Thalassemia
3. Hemophilia
4. Cystic fibrosis

Correct answer: 1. Sickle cell anemia

Explanation: child with sickle cell disease are more prone to infection by H.influenzae, S.pneumoniae, salmonella,M.pneumoniae, E.coli,S.aureus. Reference : Ghai essential of pediatrics, eighth edition, p.no:345